Sibutramine belongs to which group of drugs according to it's indication of use?
1. Antipsychotic
2. Antihypertensive
3. Anti-Obesity
4. Anti-Diabetic

Correct answer: 3. Anti-Obesity

Explanation: Sibutramine is a centrally acting anorectic drug which was used as anti obesity drug. The target site of action is ventromedial and lateral hypothalamic regions in the CNS. It functions as a serotonin and nor epinephrine reuptake inhibitor. It was withdrawn from US market in October 2010, due to an increased risk of non fatal myocardial infarction and non fatal stroke among individuals with pre existing cardiovascular disease. Ref: Harrison's Principles of Internal Medicine, 18th edn, Chapter 78